Emergency contraception prevents pregnancy by all of the following mechanisms, except:
1. Delaying/inhibiting ovulation
2. Inhibiting fertilization
3. Preventing implantation of the fertilized egg
4. Interrupting an early pregnancy

Correct answer: 4. Interrupting an early pregnancy

Explanation: Emergency Contraceptives are also called as INTERCEPTIVES.
It refers to a type of contraception that is used as an emergency to prevent pregnancy after an unprotected intercourse.
Mechanism of action
The mechanism of action is not known with certainty, but it is believed with justification that this treatment combines delay of ovulation (Option ‘a’) with a local effect on endometrium (Option “c”) and prevention of fertilization (Option “b”).
As far as option ‘d’ is concerned,
“How much a post fertilization effect (option d) contributes to efficacy is not known, but it is not believed to be the primary mechanism”.
“Contrary to popular belief, it is not an abortifacient i.e. will not act after implantation has occured”.
Mechanism of action of emergency contraception versus medical method of MTP.